In a patient of unilateral loss of vision, the patient had an injury to opposite eye leading to corneal opacification. The patient was operated by corneal grafting, he could see clearly again with one eye. The injury is said to be -
1. Simple
2. Grievous
3. Dangerous
4. Hazardous

Correct answer: 2. Grievous

Explanation: Ans. is 'b' i.e., Grievouso This patient had permanent vision loss as it was corrected by surgery (corneal transplant).o A grievous injury is one (i) Which is extensive or serious (ii) Which does not heal rapidly, and (iii) Which leaves a permanent deformity or disfiguration. Section 320 IPC defines following injuries as grievous.1. Emasculation (cutting of the penis, castration; or causing loss of power of erection due to spinal injury).2. Permanent privation of the sight of either eye.3. Permanent privation of the hearing of either ear.4. Privation of any member (part, organ, limb) or joint.5. Destruction or permanent impairing of powers of any member or joint.6. Permanent disfiguration of head or face.7. Fracture or dislocation of a bone or a tooth.8. Any hurt which endangers life or which causes the sufferer to be, during the space of twenty days in severe bodily pain, or unable to follow his daily routine. Section 319 IPC defines hurt as bodily pain, disease, or infirmity, caused to any person.